% of O2 inhaled-
1. 5%
2. 20%
3. 50%
4. 78%

Correct answer: 2. 20%

Explanation: Ans. is 'b' i.e., 20% Atmospheric (inspired) airAlveolar airExpired air %PP mm Hg%PP mm Hg%PP mm HgO220.8415813.410016116CO20.040.35.340432Nitrogen78.6259675.157374.1565H2O (vapour)0.505.76.2476.247 100760100760100760